Endogenous pyrogens act by ?
1. Increasing heat generation
2. Raising thermostat point of hypothalamus
3. Causing vasoconstriction
4. By Non-shivering thermogenesis

Correct answer: 2. Raising thermostat point of hypothalamus

Explanation: Ans. is 'b' i.e., Raising thermostat point of hypothalamusBacterial toxins (exogenous pyrogens) stimulate inflammatory cells to secrete pyrogenic cytokines (endogenous pyrogens), e.g. IL-I, TNF-a , and IL-6.These endogenous pyrogenes stimulate PGE2 release in hypothalamus, which raises temperature set point of hypothalamus to cause fever.